All are components of Cushing triad Except
1. Hypertension,
2. Raised ICP
3. Bradycardia
4. Irregular respiration

Correct answer: 2. Raised ICP

Explanation: The rapid increase in intracranial pressure (as in trauma) which accompanies the exhaustion of compensation mechanisms ultimately results in herniation of brain tissue. The uncus of the temporal lobe may herniate over the tentorium resulting in pupil abnormalities, usually occurring first on the side of an expanding haematoma.Cerebellar tonsillar herniation through the foramen magnum compresses medullary vasomotor and respiratory centres, classically producing Cushing's triad ofhypertension, bradycardia and irregular respiration.**Raised ICP causes Cushing's triad, but it is not a componentBailey and Love 26e pg: 310